Which one of the following is not a type of virginal hymen
1. Cruciate
2. Imperforate
3. Cribriform
4. Septate

Correct answer: 1. Cruciate

Explanation: Ans. is 'a' i.e., Cruciate * The different types of hymen are1) Semilunar or crescentic (commonest type) the opening is placed anteriorly. Notches or clefts are seen at 10 and 11 clock position, which may be equal in size or more prominent on one side.2) Annular : opening is oval and situated near the centre of the membrane.3) Infantile : a small linear opening in the middle.4) Cribriform : several openings.5) Vertical the opening is vertical.6) Septate: two lateral openings occur side by side, separated partially or completely by thin strip of tissue.7) Imperforate: no opening.